A 55-year-old woman present due to recent onset of chest pain and dyspnea. Six weeks prior, patient suffered MI. On physical examination, friction rub over 5th intercostal space in midclavicular line along with elevated JVP. What is the most likely cause of this presentation?
1. Cardiac rupture syndrome
2. Thromboembolism
3. Dressler syndrome
4. Ventricular aneurysm

Correct answer: 3. Dressler syndrome

Explanation: Dressler syndrome is an autoimmune phenomenon that result in fibrinous pericarditis. Fibrinous pericarditis is both an early and late complication of MI. The delayed pericarditis typically develops 2-10 weeks post MI and present clinically as chest pain and pericardial friction rub. It is generally treated with aspirin or corticosteroid. Cardiac arrythmia is a common cause of post MI death, typically occurring the first few days following the event. It is not associated with friction rub. Ventricular rupture is a serious cause of post MI death typically occurs 3-7 days after initial event. It can present with persistent chest pain, syncope and distended jugular veins.